Fertilization most commonly occurs at:
1. Ampulla
2. Interstitium
3. Isthmus
4. Uterine cavity

Correct answer: 1. Ampulla

Explanation: Ans. A. Ampulla* Fertilization is the process of fusion of the spermatozoon with the mature ovum.* Almost always, fertilization occurs in the ampullary part of the uterine tube.